In a patient Kishore having hypertension, propranolol was given. Though the drug controlled hypertension, it reduced resting heart rate to 50/min. Which of the following β blockers can be used in this patient as an effective substitute which does not cause bradycardia ?
1. Pindolol
2. Labetalol
3. Bisoprolol
4. Atenolol

Correct answer: 1. Pindolol